Which of the following is not true regarding Gleason grading and scoring?
1. It is used in prostate cancer
2. Prostate specific antigen has score of 3
3. It has score from 2 to 10
4. It is a prognostic scoring system

Correct answer: 2. Prostate specific antigen has score of 3

Explanation: It is pathological scoring system based on tumor morphology. Doesn't include PSA values